"Tuberculate spores" are characteristic features of
1. Candidia
2. Histoplasma
3. Coccidiodomyces
4. Cryptococcus

Correct answer: 2. Histoplasma

Explanation: Ans. b (Histoplasma) (Ref. Ananthanarayan, Microbiology, 8th/p. 612).On Sabouraud's agar, at room temperature, white cottony mycelia growth appears, with large (8-20 micrometer) thick walled, spherical spores with tubercles or finger-like projections. This appearance of "tuberculate spores" is diagnostic of Histoplasma capsulatum.Key Facts in FUNGOLOGY1. White piedraTrichosporon beigelli2. Black piedraPiedraia hortae3. Mycetoma foot with black or brown granulesMadurella mycetomai, Madurella grisea, Philialophora jeanselmei4. Mycetoma foot with red granulesActinomadura pelletierii5. Mycetoma foot with white to yellow granulesNocardia asteroides, Nocardia brasiliensis, Actinomadura maduraeStreptomyces somaliensis, Allescherila boydii6. CLUSTERS OF MICROCONIDIA.T. mentagrophytes (dermatophyte)7. Cigar-shaped macroconidia with terminal rat-tail filaments 8. Thick-walled chlamydospores, conidia are rare and irregularM.audouinii9. Ectothrix hair infectionMicrosposrum spp, T. rubrum, T. mentagrophytes10. Endothrix hair infectionT. schoenleinii, T. tonsurans, T. violaceum11. YEASTC. neoformans (only pathogenic yeast)12. YEAST LIKECandida albicans (pseudomycelium present)13. MOULDS/FILAMENTOUS FUNGIDermatophytes14. DIMORPHIC (Filamentous as well as Yeasts)Most fungi causing systemic infection15. NOT A DIMORPHIC FUNGUSCryptococcus16. REYNOLDS-BRAUDE PHENOMENONRapid method of identifying Candida albicans based on its ability(Germ Tube Formation)to form germ tube when incubated in human serum at 37degfor 42 hr.17. SCLEROTIC BODIESChromoblastomycosis18. ASTEROID BODIESSporotrichosis (Gardner's disease)19. TUBERCULATE SPORESHistoplasma capsulatum20. INDIA INK PREPARATIONCryptococcus (other ones for its capsule are alcian blue & mucicarmine)21. ASPERGILLUSHyphae and pseudohyphae with dichotomous branching typically at acute angle - 45deg. Septate hyphae22. DESERT RHEUMATISM/VALLEY FEVERCoccidioidomycosis